A child presented to the emergency department with seizures. On examination oval hypopigmented macules were noted on the trunk, along with sub-normal IQ. What is the probable diagnosis?
1. Neurofibromatosis
2. Sturge Weber
3. Tuberous sclerosis
4. Incontinentia Pigmenti

Correct answer: 3. Tuberous sclerosis

Explanation: Essentials of Diagnosis & Typical Features of Tuberous sclerosis: Facial angiofibromas or subungual fibromas. Often hypomelanotic macules, gingival fibromas. Retinal hamartomas. Cortical tubers or subependymal glial nodules, often calcified. Renal angiomyolipomas. Seizures are the most common presenting symptom. Up to 20% of patients with infantile spasms (a serious epileptic syndrome) have tuberous sclerosis. Ninety-six percent of patients have one or more hypomelanotic macules, facial angiofibromas, ungual fibromas, or shagreen patches. Adenoma sebaceum, the facial skin hamartomas, may first appear in early childhood, often on the cheek, chin, and dry sites of the skin where acne is not usually seen. Intellectual disability occurs in up to 50% of patients referred to tertiary care centers; the incidence is probably much lower in randomly selected patients. Patients with seizures are more prone to intellectual disability or learning disabilities. Diagnostic studies: More helpful is MRI or CT scanning; the latter can show the virtually pathognomonic subependymal nodular calcifications and sometimes widened gyri or tubers and brain tumors. Contrast material may show the often classically located tumors near the interventricular foramen. Hypomyelinated lesions may be seen with MRI. Ref: Bernard T.J., Knupp K., Yang M.L., Kedia S., Levisohn P.M., Moe P.G. (2012). Chapter 25. Neurologic & Muscular Disorders. In W.W. Hay, Jr., M.J. Levin, R.R. Deterding, J.J. Ross, J.M. Sondheimer (Eds), CURRENT Diagnosis & Treatment: Pediatrics, 21e.